Atropine as preanesthesia has all effects except –
1. Decrease secretion
2. Bronchoconstriction
3. Prevent bradycardia
4. Prevent hypotension

Correct answer: 2. Bronchoconstriction

Explanation: The main aim of anticholinergics (atropine or hyoscine) as the anaesthetic medication is to prevent vagal bradycardia and hypotension (which occur reflexly due to certain surgical procedures), and prophylaxis of laryngospasm which is precipitated by respiratory secretions.
Hyoscine, in addition, produce amnesia and antiemetic effect.